During extractions of maxillary second molar a 0.5mm perforation is created in maxillary sinus. The appropriate treatment would be to:
1. Perform cald well-Luc procedure
2. Smoothen the bone and place suture across socket
3. Pack the opening with iodoform gauge and allow to heal by secondary intention
4. No treatment necessary

Correct answer: 4. No treatment necessary